True about NK cells are all of the following except:
1. Mediates type IV hypersensitivity
2. Kill viruses
3. They are large granular lymphocytes
4. Releases small cytoplasmic granules of proteins called perforin and granzyme

Correct answer: 1. Mediates type IV hypersensitivity

Explanation: Ans. A: Mediates type IV hypersensitivity NK cells are a type of cytotoxic lymphocyte that constitute a major component of the innate immune system. NK cells play a major role in the rejection of tumors and cells infected by viruses. They kill cells by releasing small cytoplasmic granules of proteins called perforin and granzyme that cause the target cell to die by apoptosis. NK cells are defined as large granular lymphocytes (LGL) and constitute the third kind of cells differentiated from the common lymphoid progenitor generating B and T lymphocytes. They do not express T-cell antigen receptors (TCR) or Pan T marker CD3 or surface immunoglobulins (Ig) B cell receptors but they usually express the surface markers CD16 and CD56 in humans. Up to 80% of NK cells also express CD8. They were named "natural killers" because of the initial notion that they do not require activation in order to kill cells that are missing "self" markers of major histocompatibility complex (MHC) class I. Type IV (cell mediated immunity) is mediated by T-cells.